Following eruption, the root of the maxillary central incisor completes development at what approximate age?
1. 7 years
2. 8 years
3. 9 years
4. 10 years

Correct answer: 4. 10 years